All are complication of tonsillitis EXCEPT:
1. Otitis media
2. Abscess
3. Malignant change
4. Subacute Bacterial Endocarditis

Correct answer: 3. Malignant change

Explanation: Ans. (c) Malignant changeRef: DhingrcTs ENT 5th ed. / 272-273* Acute tonsillitis often affects school-going children, but it can also affect adults.Cause:* MCC: Group A Beta Hemolytic streptococcus* Acute infections of tonsil may involve these components and are thus classified as:# Acute catarrhal or superficial tonsillitis: generalized pharyngitis and is mostly seen in viral infections.# Acute follicular tonsillitis: Infection spreads into the crypts which become filled with purulent material.# Acute parenchymatous tonsillitis: uniformly enlarged and red tonsil.# Acute membranous tonsillitis: It is a stage ahead of acute follicular tonsillitis. In this, exudation from the crypts coalesces to form a membrane on the surface of tonsil.Symptoms* Sore throat, Difficulty in swallowing, Fever, Eearache, odynophagia, dysphagia* Constitutional symptoms# Headache, general body aches, malaise and constipation.Treatment* Patient is put to bed and encouraged to take plenty of fluids.* Analgesics* Antimicrobial therapy (DOC: Penicillin)Complications* Chronic tonsillitis with recurrent acute attacks. This due to incomplete resolution of acute infection.* Peritonsillar abscess.* Parapharyngeal abscess.* Cervical abscess due to suppuration of jugulodigastric lymph nodes.* Acute otitis media.* Rheumatic fever.* Acute glomerulonephritis.* Subacute bacterial endocarditis.NOTE: Malignancy is never a complication of tonsilittis.